Patient is having scanty, foul smelling discharge from middle ear, develops fever, headache and neck rigidity. CT of the temporal lobe shows a localized ring enhancing lesion, which of the following is least likely cause of this condition?
1. S. aureus
2. Pseudomonas
3. S.Pneumoniae
4. H. influenza

Correct answer: 4. H. influenza

Explanation: Commonest organisms in otogenic brain abscess include gram negative (Proteus, E coli, Pseudomonas) and anaerobic bacteria along with Staphylococcus and Pneumocci. H. Influenza infection is a rare cause of otogenic abscess.